Which one of the following is not a treatment of gastroesophageal variceal haemorrhage -
1. Sclerotherapy
2. Sengstaken tube
3. Transjugular intrahepatic portacaval shunt
4. Gastric freezing

Correct answer: 4. Gastric freezing